True regarding origin and insertion of piriformis ?
1. Origin from sacrum & ilium and insertion on LT
2. Origin from sacrum & ilium and iseion on GT
3. Origin from ischeal tuberosity and insertion on LT
4. Origin from ischeal tuberosity and insertion on GT

Correct answer: 2. Origin from sacrum & ilium and iseion on GT

Explanation: Origin from sacrum & ilium and iseion on GT